Which of the following is an example of low molecular weight heparin?
1. Alteplase
2. Lepirudin
3. Enoxaparin
4. Hirudin

Correct answer: 3. Enoxaparin

Explanation: ANTI-THROMBIN ACTIVATORS (INDIRECT THROMBIN INHIBITORS) i. UNFRACTIONATED HEPARIN ii. LOW MOLECULAR WEIGHT HEPARINS 1. ENOXAPARIN 2. DALTEPARIN 3. TINZAPARIN 4. NADROPARIN iii. PENTASACCHARIDES 1. FONDAPARINUX 2. IDRAPARINUX